Which of the following are features of diffuse sclerosing variant of papillary carcinoma?
1. Occurs in young individuals including children
2. Extensive fibrosis throughout the gland
3. Associated with lymphocytic infiltrate
4. All of the above

Correct answer: 4. All of the above

Explanation: Diffuse sclerosing variant of papillary carcinoma occurs in younger individuals, including children. This tumor has prominent papillary growth pattern intermixed with solid areas containing nests of squamous metaplasia. As the name suggests, there is extensive, diffuse fibrosis throughout thyroid gland, often associated with prominent lymphocytic infiltrate, simulating Hashimoto thyroiditis.